Marker for infectivity of serum in Hepatitis B is
1. HBsAg
2. Anti-HBc
3. HBeAg
4. Anti Hbc

Correct answer: 3. HBeAg

Explanation: Markers of Hepatitis B infection (in order of appearance in serum) : HBsAg (Hepatitis B Surface antigen ): Also known as 'Australian antigen' First antigen to appear in serum- 'first evidence of infection' 'Epidemiological marker of Hepatitis B infectionHBcAg (Hepatitis B core antigen) Alone doesnot appear in serum HBeAg (Hepatitis B envelope antigen) Is secretory form of HBcAg Indicates active viral replication Is a marker of infectivity for Hepatitis B Persistence beyond 3 months: Increased likelihood of chronic Hepatitis B. AntiHBc (Antibody to Hepatitis B core antigen) First antibody to appear in serum IgM Anti-HBc indicates a diagnosis of acute Hepatitis B IgG Anti-HBc persists indefinitely Anti-HBe (Antobody to Hepatitis B envelope antigen) Signals 'stoppage of active viral replication Indicates end of period of infectivity Anti-HBs (Antibody to Hepatitis B surface antigen) Last antibody to appear in serum Signals 'recovery, end of period of communicability' Ref: Park 25th edition Pgno: 235